Kerion is a form of
1. Bacterial lesion
2. Viral lesion
3. Fungal lesion
4. Parasitic lesion

Correct answer: 3. Fungal lesion

Explanation: Kerion or inflammatory type of tinea capitis: kerion is a inflammatory boggy swelling , indurated tender swelling that is studded with broken ,unbroken hairs , vesicles and pustules. There is sinus formation thick crusting.heals with scarring. Causative organism trichophyton verrucosum and trichophyton mentagrophytes iadvl textbook of dermatology page 255